In which of the following rigor mortis is not seen?
1. Well built male
2. Well built female
3. Old patient> 80 years
4. Fetus <7 months

Correct answer: 4. Fetus <7 months

Explanation: Rigor mortis is not seen in fetus less than 7 months. It develops slowly and is marked in healthy adults. It is feeble and rapid in infants. Dr. Narayana Reddys Synopsis of Forensic Medicine & Toxicology 27 th edition pg. 80.